Coefficient of thermal expansion of the wax is:
1. 30×10-6/°C
2. 50×10-6/°C
3. 350×10-6/°C
4. 35×10-6/°C

Correct answer: 3. 350×10-6/°C

Explanation: Waxes have low thermal conductivity and a high coefficient of thermal expansion.